H1N1 influenza prophylaxis
1. Oseltamivir
2. Zanamivir
3. Amantadine
4. Rimantadine

Correct answer: 1. Oseltamivir

Explanation: Ans. a. OseltamivirRef: Goodman Gilman 12th E/P1114Drug of Choice for Treatment of InfluenzaInfluenza A and BOseltamivir resistant influenza A and BOral Oseltamivir 75 mg BD for 5 daysInhalational Zanamivir 75 mg OD for 7 daysDrug of Choice for Prophylaxis of InfluenzaInfluenza A and BOseltamivir resistant influenza A and BOral Oseltamivir 10 mg BD 5 daysInhalational Zanamivir 10 mg OD 7 days